Triple examination includes all except:
1. Clinical examination
2. Excision biopsy
3. FNAC
4. Mammography

Correct answer: 2. Excision biopsy

Explanation: Ans. (b) Excision biopsy